Orally active hormone is ?
1. TSH
2. Thyroxine
3. GH
4. Prolacin

Correct answer: 2. Thyroxine

Explanation: Ans. is 'b' i.e., Thyroxine